The most important buffer in interstitial fluid:
1. Phosphate
2. Bicarbonate
3. Histidine
4. Protein

Correct answer: 2. Bicarbonate

Explanation: The chemical buffer systems in the body - bicarbonate system, phosphate system, and the proteins. Bicarbonate buffer is quantitatively the most important buffer in ECF compartment; it buffers non-carbonic acid. Hence, option B is correct. Intracellular proteins account for >70% of I/C buffering . Phosphate helps in intracellular buffering .